Trichophagia is characterized by -
1. Compulsive pulling of hair
2. Compulsive eating of hair
3. Compulsive shopping
4. Compulsive stealing

Correct answer: 2. Compulsive eating of hair

Explanation: Ans is 'b' i.e. Compulsive eating of hair o Trichophagia is compulsive eating of hair and is usually associated with trichotillomania i.e. compulsive pulling of hair.o Compulsive shopping is called Oniomania.o Compulsive stealing is called Kleptomania.Also knowo Pyromania i.e. pathological fire setting